Use of all the following significantly decreases airborne infection in operating room except ?
1. Laminar air flow
2. Air-conditioning
3. Ultraviolet light
4. Microfilters

Correct answer: 2. Air-conditioning

Explanation: Ans. is 'b' i.e., Air-conditioning